Gail model of risk assessment is used for
1. CA stomach
2. CA esophagus
3. CA breast
4. CA prostate

Correct answer: 3. CA breast

Explanation: Gail risk assessment model is used for CA breast. It includes (modified):  *Age, age at menarche, age at 1st live child birth, race.  *Number of 1st degree female relatives having breast cancer.  *Number of previous breast biopsies. * Proliferative lesion with atypia. These risk factors are translated into risk scores by specified calculations. But model does not include genetic factor. Reference : page 530 SRB's manual of surgery 5th edition